SYBR Green Dye is used for:
1. HPLC
2. Immuno-fluorescence
3. PCR
4. ELISA

Correct answer: 3. PCR

Explanation: Dyes used in real time PCR SYBR based detection TaqMan based detection Uses SYBR Green dye ds-DNA binding dye Not sequence specific Uses a fluorogenic probe specific to target gene It accumulates during PCR. Real Time PCR / Quantitative Fluorescence PCR (QF-PCR) / q PCR: Products are detected by fluorescence during (NOT after) the PCR reaction (in real time), not end time PCR.